On examination a dead guy was found a ligature mark on neck. According to police, the person's leg were touching the ground while hanging. You suspected death due to partial hanging. This death is due to weight of around:
1. 1.15 kg
2. 2.20 kg
3. 3.10 kg
4. 4.50 kg

Correct answer: 4. 4.50 kg

Explanation: Ans. (d) 4.50 kgRef.: The Essentials of FSM by K.S. Narayan Reddy 31st ed./314-18* Upon hanging the death can either be cervical bone fracture or can be secondary to vascular occlusion.* In case of partial hanging some part of body touching the ground. Therefore weight responsible for death is weight of head, which is nearly equal to 4-5 kg.* There are 4 important vascular structures in neck which can bear weight of upto:# Jugular vein: 2 kg# Carotid artery: 5 kg# Tracheal artery: 15 kg# Vertebral artery: 20-30 kg.Type of Hanging according to degree of suspensionComplete HangingIncomplete (Partial) Hanging* Body is fully suspended & no part of body touches the ground* Constricting force is weight of body* The lower part of body is in touch with ground* Weight of head acts as constricting force